Erythema multiforme Is most often related to
1. Herpes zoster infection
2. Herpes simplex infection
3. Molluscurn contagiosum infection
4. Human papillorna virus infection

Correct answer: 2. Herpes simplex infection

Explanation: Erythema multiforme is associated with infections like herpes simplex virus mostly. And less commonly Mycoplasma pneumonia. From illustrated synopsis of dermatology and sexually transmitted diseases neena khanna 5th edition page no 186